In which of the following conditions Dactylitis CANNOT be seen -
1. Sickle cell anaemia
2. Beta thalassemia
3. Congenital syphilis
4. Tuberculosis

Correct answer: 2. Beta thalassemia

Explanation: Dactylitis can occur in seronegative arthropathies, such as psoriatic arthritis and ankylosing spondylitis, and in sickle-cell disease as result of a vasoocclusive crisis with bone infarcts, and in infectious conditions including tuberculosis and leprosy. In reactive arthritis, sausage fingers occur due to synovitis. REF : MAHESWARI 9TH ED